Which of the following restorative materials are likely
to be eliminated in near future:
1. Amalgams
2. Glass ionomer
3. Porcelain
4. Composites

Correct answer: 1. Amalgams